Carotid body tumor arises from?
1. Not a tumor but called a tumor
2. Carotid artery
3. Parasympathetic paraganglioma
4. Sympathetic paraganglioma

Correct answer: 3. Parasympathetic paraganglioma

Explanation: "The carotid body tumor is a prototype of parasympathetic paraganglioma". — Essentials of clinical pathology "Pheochromocytomas and paragangliomas are well-vascularized tumors that arise from cells derived from the sympathetic (e.g., adrenal medulla) or parasympathetic (e.g., carotid body, glomus vagale) paraganglia".